Hypercalcemia would not be expected to occur as a result of
1. Lung carcinoma
2. Sarcoidosis
3. Hypothyroidism
4. Administration of thiazide drugs

Correct answer: 3. Hypothyroidism

Explanation: Hypercalcemia often is associated with malignancies and is due either to skeletal metastasis or to a humoral substance secreted by a tumour.Hypercalcemia accompanying sarcoidosis appears to be due to enhanced synthesis of vitamin D.Thiazide diuretics cause hypercalcemia by decreasing the urinary clearance of calcium. Lithium may cause a mild hypercalcemia by elevating plasma parathormone levels.Calcium levels in persons with hypothyroidism are either normal or low as a result of the decreased bone turnover.